Half life of Dobutamine is:
1. 120 seconds
2. 200 seconds
3. 20 seconds
4. 20 minutes

Correct answer: 1. 120 seconds

Explanation: Ans. (A) 120 seconds(Ref: Lawrence 9/e p453)Dobutamine is an inotropic drug which has onset of action = 1-2 min.Peak action = 1-10 min.Duration of action = < 10 min.Half life = 2 min.